Not an intravenous anesthetic -
1. Etomidate
2. Thiopentone
3. Ketamine
4. Cyclopropane

Correct answer: 4. Cyclopropane

Explanation: Ans. is 'c' i.e., Cyclopropane Anaesthetics| |InhalationIntravenous||||GasLiquidsInducing agentsSlower actingN2Oo Ethero Halothaneo Isofluraneo Enfluraneo Sevofluraneo Desfluraneo Thiopentoneo Methohexitoneo Propofolo Etomidateo Ketamineo Benzodiazepineso Opioidso Dissociative anaesthesia# Ketamine